Branched-chain ketoaciduria is due to deficiency of
1. Carboxylase
2. a-ketoacid dehydrogenase
3. Methyl-malonyl CoA mutase
4. Fumaryacetoacetate hydrolase

Correct answer: 2. a-ketoacid dehydrogenase

Explanation: Maple syrup urine disease (MSUD), also called branched-chain ketoaciduria, is an autosomal recessive metabolic disorder affecting branched-chain amino acids. It is one type of organic acidemia. The condition gets its name from the distinctive sweet odor of affected infants' urine, particularly prior to diagnosis, and during times of acute illness MSUD is a metabolic disorder caused by a deficiency of the branched-chain alpha-keto acid dehydrogenase complex (BCKDC), leading to a buildup of the branched-chain amino acids (leucine, isoleucine, and valine) and their toxic by-products (ketoacids) in the blood and urine.